All of the following are characteristic of lymphangiomas EXCEPT
1. Rare childhood orbital tumours
2. Typically slow growing but may present with acute painful proptosis
3. Called 'chocolate cysts' when bleeds into itself
4. It is the second commonest tumour in HIV

Correct answer: 4. It is the second commonest tumour in HIV

Explanation: Commonest tumor in HIV is kaposi sarcoma. 2nd commonest tumor is lymphoma, not lymphangioma. Lymphangioma-. It is an uncommon tumour presenting with slowly progressive proptosis in a young person. It often enlarges because of spontaneous bleed within the vascular spaces, leading to formation of 'chocolate cysts' which may regress spontaneously.